Facial nerve palsy is seen in:
1. Seborrhoeic Otitis externa
2. Otomycosis
3. Malignant Otitis externa
4. Eczematous Otitis externa

Correct answer: 3. Malignant Otitis externa

Explanation: (c) Malignant Otitis externa(Ref. Scott Brown, 8th ed., Vol 2; 1420)Malignant Otitis externa can lead to granulations and bony erosion leading to facial nerve palsy.The other options do not cause bony erosion and facial nerve palsy.